65 year old female presented to OPD with complaint of abdominal pain just after eating food , episodes of vomiting and diarrhea. She gave history of Coronary artery disease from last 20 years . BP - 160/100 mm Hg , pulse- 80/min .On abdominal examination, there is no tenderness or rigidity. What shall be the most likely diagnosis:
1. Peptic ulcer
2. Wilkie's disease
3. Ulcerative colitis
4. Chronic mesenteric ischemia

Correct answer: 4. Chronic mesenteric ischemia

Explanation: CHRONIC MESENTERIC ISCHEMIA MC cause - Advanced atherosclerosis of multiple mesenteric vessels Risk factors Positive family history Hypertension Smoking Hypercholesterolemia C/F Post prandial abdominal pain Lasts for 15-45 min D/t ischemia of mesenteric vessels as there will be increase demand for blood after meals Diffuse crampy pain Intestinal angina / intestinal claudication Fear/aversion for food Weight loss Dx: Duplex scan - to assess flow in Mesenteric vessels Investigation of choice - Aortography Rx Revascularization by Balloon angioplasty or stent placement in elderly Definitive Rx - Trans aortic endarterectomy or Bypass grafting